Amino acid deficient in pulses
1. Tryptophane
2. Lysine
3. Methionine
4. Leucine

Correct answer: 3. Methionine